Lateral boundary of the cubital fossa is-
1. Brachiradialis
2. Pronator teres
3. Flexor Carpi Radialis
4. Triceps

Correct answer: 1. Brachiradialis

Explanation: Ans. is 'a' i.e., Brachiradialis Cubital fossaLateral boundryBrachioradialisMedial boundryPronater teresBaseLine joining the two epicondyles of humerusApexPoint joining lateral and medial boundriesFloorBrachialis, supinatorRoofSkin, superficial fascia (containing medial cubital vein, lateral and medial cutaneous nerve of forearm), deep facia, bicipital aponeourosisCONTENTS* Median nerve* Brachial artery termination and begining of radial and ulnar arteries.* Biceps tendon* Radial nerve and* Radial collateral artery